All of the follwoing are of the size of adult at birth expect?
1. Tympanic membrane
2. Ossicle
3. Tympanic cavity
4. Mastoid

Correct answer: 4. Mastoid

Explanation: Development of the mastoid air cell system does not occur until afterbirth, with about 90% of air cell formation being completed by the age of six with the remaining 10% taking place up to age of 18